The worst prognosis is CLL patients is , if they have:
1. If lymphadenopathy seen
2. If hepatosplenomegaly seen
3. If hemoglobin < 10 g/dl
4. If WBC count is more than 1,00,000

Correct answer: 3. If hemoglobin < 10 g/dl

Explanation: PROGNOSIS IN CLL Best prognosis is seen If only blood and bone marrow involvement by leukemia. No lymphadenopathy, organomegaly, or signs of bone marrow failure Intermediate prognosis is seen in With lymphadenopathy and organomegaly Worst prognosis With bone marrow failure, defined as hemoglobin g/dL) or platelet count <100,000/L N.B The prognosis is adversely affected when these abnormalities are due to progressive marrow infiltration. However,it may be due to autoimmune phenomena or to hypersplenism and it can be completely reversible (glucocorticoids for autoimmune disease; splenectomy for hypersplenism) and do not influence disease prognosis Ref: Harrison, E-18,P-922